Frameshift mutation does not effect complete amino acid sequence if it occurs in multiple of
1. 1
2. 2
3. 3
4. None

Correct answer: 3. 3

Explanation: Question repeated